True about streptococcus is
1. Lancefield classification is based on M protein
2. Group 'G' not found in human
3. Group 'B' causes neonatal meningitis
4. Grop 'C' can be isolated from vaginal flora

Correct answer: 3. Group 'B' causes neonatal meningitis

Explanation: Group B streptococci has assumed great clinical importance as the single most common cause of neonatal meningitis in the West. Infection in the newborn is classified as the: Early onset type: occurring within a week of birth, it presents as meningitis or septicemia, and is often fatal. Infection is acquired from the maternal vagina during birth. Late-onset type: developing between the second and twelfth weeks of life, it is more often obtained from the environment and presents as septicemia. Reference: Textbook of Microbiology; Anathanarayan and paniker's; 10th edition; Page no: 218